O.P.C. Poisoning is characterised by all, except:
1. Pulmonary oedema
2. Pin point pupil
3. Constipation
4. Vomiting

Correct answer: 3. Constipation

Explanation: Symptoms of OP Compound Poisoning: Muscarinic symptoms: Bronchoconstriction Bronchorrhea Bradycardia Miosis Sweating Salivation Lacrimation Micturition diarrhoea Nicotinic symptoms: Fasciculation Dyspnoea Cyanosis